Thyroid gland is situated at the level of:
1. C4-C8
2. C4-T1
3. C5-T1
4. C6-T2

Correct answer: 3. C5-T1

Explanation: Ans. C C5-T1* Thyroid gland is located in anterior triangle of the neck and weighs 20 grams. Gland lies against C5 to T1 vertebra.* Isthmus extends from 2-4th tracheal rings